Investigation of choice for gall bladder stone is:
1. OCG
2. USG
3. PTC
4. X-ray

Correct answer: 2. USG

Explanation: Ans. B: USG Investigation for gall stones: Ultrasound is the initial investigation of choice Diagnostic features on ultrasound include - Presence of gallstones - Distended thick-walled gallbladder - Pericholecystic fluid - Murphy's sign demonstrated with ultrasound probe If diagnostic doubt a HIDA scan may be useful-Will show failure of isotope (hydroxyiminodiacetic acid) uptake by gallbladder